The commonest site for hypertensive intracerebral bleed is:
1. Putamen.
2. Cerebellum.
3. Pons.
4. Midbrain.

Correct answer: 1. Putamen.

Explanation: Ans. is 'a' i.e. Putamen Most common site of hypertensive hemorrhage is-Basal Ganglia (Putamen, thalamus & adjacent deep white matter) Also RememberM.C. intracranial hemorrhage: Intracerebral or intraparenchymal hemorrhage *M.C. cause of intracerebral hemorrhage: Hypertension due to rupture of small penetrating arteries. *M.C. cause of subarachnoid hemorrhage : Trauma (IInd rupture Berry's aneurysm) *